Catecholamines are synthesized from:
1. Alanine
2. Glycine
3. Cysteine
4. Tyrosine

Correct answer: 4. Tyrosine